Non-noxious stimulus is perceived as pain in
1. Allodynia
2. Hyperalgesia
3. Paraesthesia
4. Hyperpathia

Correct answer: 1. Allodynia

Explanation: Allodynia refers to central pain sensitization (increased response of neurons) following normally non-painful, often repetitive, stimulation. Allodynia can lead to the triggering of a pain response from stimuli which do not normally provoke pain. Ref Harrison20th edition pg 2345